Nonmotile among the Burkholderia species is
1. B. mallei
2. B. pseudomallei
3. B. cepaciae
4. B. bovis

Correct answer: 1. B. mallei

Explanation: Burkholderia spp:Burkholderia malleiBurkholderia pseudomallei--Non motile bipolar stained organism --On Potato - Honey like growth--Class B agent of biological warfare --Induces Strauss reaction--Diagnosis - Mallein test & Molecular methods by 16s rRNA gene sequencing --Rx - Ceftazidime or Carbapenems --Causative agent of Melioidosis --Motile, oxidase positive organism --Causes hemoptysis resembling TB --Latency and reactivation occur due to intracellular survival --Typical bipolar safety pin appearance --Rx - Ceftazidime or CarbapenemsOBurkholderia cepacia: MDR strain important among nosocomial pathogensO1st MC pathogen among cystic fibrosis patients leads to recurrent respiratory tract infections and biofilm forming agent in intravascular catheters leads to bacteremiaRef: Ananthanarayan 9th edition, p317